Most common indication for liver transplantation in children-
1. Biliary atresia
2. PBC
3. PSC
4. Caroli's disease

Correct answer: 1. Biliary atresia

Explanation: Ans. is 'a' i.e.. Biliary atresia